USG examination of an 8 weeks pregnant female shows a gestational sac with absent fetal parts. The diagnosis is:
1. Ectopic pregnancy
2. Missed abortion
3. Threatened abortion
4. Blighted ovum

Correct answer: 4. Blighted ovum

Explanation: Anembryonic pregnancy (previously called blighted ovum) is an ultrasound diagnosis. It is a pregnancy in which the embryo fails to develop or is resorbed after loss of viability. On ultrasound, an empty gestational sac, smaller mean gestational sac diameter, absent fetal echoes and absent fecal cardiac movements is seen. Clinical presentation is similar to that of a missed or threatened abortion: Mild pain or bleeding may be present; however, the cervix is closed, and the nonviable pregnancy is retained in the uterus. Ref: Textbook of Obstetrics D C Dutta, 6th edition, Page 162.